Most common organ involved by congenital TB is
1. Liver
2. Pancreas
3. Kidney
4. Lung

Correct answer: 1. Liver

Explanation: Congenital tuberculosis is rare. The fetus may be infected hematogenously through umbilical vessels. The primary focus in this case is liver. In children with congenital TB, the liver is usually affected first, which adds to the hepatoxicity of the therapeutic regimens currently available Reference : Ghai essential pediatrics, eighth edition, page no:257